True about umbilical cord ?
1. Cantains two umbilical veins
2. Cantains one umbilical artery
3. Right umbilical vein disappears
4. Length is 25-30 cm.

Correct answer: 3. Right umbilical vein disappears

Explanation: Umbilical cordUmbilical cord develops from connecting stalk, which extends from the caudal end of the embryo to the chorion.Umbilical cord is covered by amniotic epithelium and contains a core of mesenchyme known as whartan's jelly.Contents of umbilical cord are : (i) Wharton's jelly, (ii) Two umbilical arteries, (iii) One (left) umbilical vein, (iv)Remnant of yolk sac, and (v) Remnant of allanto-enteric diverticulum.Initially 2 umbilical arteries and 2 umbilical veins develop in mesoderm, but right umbilical vein disappears. Left umbilical vein persists along with 2 umbilical arteries.At full term, the umbilical cord measures 1-2cm in diameter, and 50-55cm in length and generally attached to the center of fetal surface of placenta.